Weight of newborn quadruples by _________
1. 9 months
2. 12 months
3. 2 years
4. 3 years

Correct answer: 3. 2 years

Explanation: weight of new born Weight of child in nude or minimal clothing is measured accurately on a lever or electronic type of weighing scale. Spring balances are less accurate. The weighing scale should have a minimum unit of 100g. Child should be placed in middle of pan. Age Weight(kg) Birth. 3 6 months 6 (doubles) 1 yr. 9(triples) 2 yr. 12(quadruples) 3 yr. 15 4 yr. 16 Reference: GHAI essential Paediatrics